The preferred antidote for paracetamol (acetaminophen) poisoning is -
1. Activated charcoal
2. N-acetyl cysteine
3. Adrenaline
4. Magnesium hydroxide gel

Correct answer: 2. N-acetyl cysteine

Explanation: Ans. is 'b' i.e., N-acetyl cysteine N-acetyl cysteine is used as an antidote in paracetamol poisoning (acetominaphan).